Root value of biceps jerk?
1. C5C6
2. C4C5
3. C6C7
4. c8T1

Correct answer: 1. C5C6

Explanation: Ans. a (C5 C6). (Ref. Ganong, Physiology, 21st/pg. l30)SPINAL LEVELREFLEXC5-6SupinatorC5-6BicepsC7TricepsL3-4KneeS1AnkleEducational points:Spinal Cord Levels Relative to the Vertebral BodiesSpinal Cord LevelCorresponding Vertebral BodyUpper cervicalSame as cord levelLower cervical1 level higherUpper thoracic2 levels higherLower thoracic2 to 3 levels higherLumbarT10-T12SacralT12-L1